MTAD is
1. Mixture of Tetracyclin, Acid and Detergent
2. Mixture of Triclosan Acid and Doxycycline hyclate
3. Mixture of Tetracyclin, Acid and EDTA
4. Mixture of Triclosan, Acid and EDTA

Correct answer: 1. Mixture of Tetracyclin, Acid and Detergent